Prosopagnosia is
1. Inability to recognize faces
2. Inability to recognize color
3. Inability to recognize light
4. Inability to recognize moving objects

Correct answer: 1. Inability to recognize faces

Explanation: Ans. (a) Inability to recognize faces(Ref: Ganong, 25th ed/p.294)Prosopagnosia:Inability to recognize familiar facesUsually seen in lesions of anterior and inferior temporal cortex